Dry socket
1. Results from loss of blood clot in the socket
2. Is treated with reinducing bleeding into the socket
3. Is a form of osteomyelitis
4. Is common in extraction of anterior teeth

Correct answer: 1. Results from loss of blood clot in the socket